Direct acting thrombin inhibitors are -
1. Heparin
2. Hirudin
3. Warfarin
4. All

Correct answer: 2. Hirudin

Explanation: Ans. is 'b' i.e., Hirudin